During the removal of a torus palatinus it was notice that a portion of palatal of bone is fractured. One would expect:
1. An opening into the nasal cavity
2. An opening into the maxillary antrum
3. Vertical fracture of maxilla
4. Horizontal fracture of maxilla

Correct answer: 1. An opening into the nasal cavity